Mechanical stimulation of the pain sensitive structures of the brain can cause headache. All of the following are the pain sensitive structures of brain, EXCEPT?
1. Falx cerebri
2. Dural sheath surrounding vascular sinuses
3. Middle meningeal artery
4. Choroid plexus

Correct answer: 4. Choroid plexus

Explanation: Pain sensitive structures of the brain are,Middle meningeal arteryDural sinusesFalx cerebriProximal segments of the large pial arteriesVentricular ependyma, choroid plexus, pial veins, and much of the brain parenchyma are insensitive to the pain.